Latanoprost acts in glaucoma by
1. Increasing trabecular outflow
2. Increasing uveoscleral outflow
3. Releasing pupillary block
4. Decreasing aqueous humour production

Correct answer: 2. Increasing uveoscleral outflow

Explanation: Prostaglandin derivative Latanoprost(0.005%): It is a synthetic drug which is an ester analogue of prostaglandin F2-a. It acts by increasing uveoscleral outflow and by causing reduction in episcleral venous pressure. It is as effective as timolol. It has additive effect with pilocarpine and timolol. Its duration of action is 24 hours and is, thus, administered once daily. Its side-effects include conjunctival hyperaemia, foreign body sensation and increased pigmentation of the iris. Ref:- A K KHURANA; pg num:-427